Two particle with same size, the one which easily passes through glomeruli has
1. Positive charge
2. Negative charge
3. Charge has no relation
4. More density

Correct answer: 1. Positive charge

Explanation: Positively charged particles passes easily through glomeruli because glomeruli basement membrane has many anionic sites. Ref: guyton and hall textbook of medical physiology 12 edition page number:470,471,472